A young female patient reports to the dental office with complaint of small gaps between her teeth

Shade selection for such a treatment should be carried out under the
1. Natural day light
2. Fluorescent light
3. After placement of rubber dam
4. When the teeth are dry

Correct answer: 1. Natural day light